Which of the following will favour the diagnosis of RDS in newborn:
1. Receipt of antenatal steroids
2. Air bronchogram in chest X-ray
3. Manifests after 6 hrs
4. Occurs after term gestation

Correct answer: 2. Air bronchogram in chest X-ray

Explanation: b. Air bronchogram in chest X-ray(Ref: Nelson's 20/e p 850-857, Ghai 8/e p 169-170)Discussing about the options one by one,a.Receipt of antenatal steroidsNoAntenatal steroids protect against RDSb.Air bronchogram in chest X-rayYesAir bronchogram on Chest X-ray is a feature of RDSc.Manifests after 6 hrsNoRDS manifests soon after birth & not after 6 hoursd.Occurs after term gestationNoIt usually occurs in preterm neonates